G-CSF is used in treatment of -
1. Anemia
2. Neutropenia
3. Malaria
4. Filariasis

Correct answer: 2. Neutropenia

Explanation: Ans. is 'd' i.e., Filariasis o G-CSF (Granulocyte Colony-stimulating factor) is used in the treatment various type of neutropenia.Uses of G-CSF (Granulocyte Colony-stimulating factor)1) Primary Prophylaxis: reducing and preventing chemotherapy-associated neutropenia in at-risk patients.2) Secondary prophylaxis: reducing and preventing future neutropenia in patients with a prior neutropenic event, where dose reduction or delays would compromise outcomes3) Supportive management of congenital neutropenia or autoimmune neutropenia complicated by severe and recurrent infections4) Acute myeloid leukemia, acute lymphocytic leukemia and some cases of myelodysplastic syndromes.